Councilman bodies are seen in?
1. Heart failure
2. Acute viral hepatitis
3. Cirrhosis of liver
4. Wilson's disease

Correct answer: 2. Acute viral hepatitis

Explanation: In pathology, a Councilman body, also known as Councilman hyaline body or apoptotic body, is an acidophilic globule of cells that represents a dying hepatocyte often surrounded by normal parenchyma. They are found in the liver of individuals suffering from viral hepatitis, yellow fever, or other viral syndrome